A condon consists of -
1. Two complementary base pairs
2. Three consecutive nucleotide units
3. An individual ribosome
4. Four individual nucleotides

Correct answer: 2. Three consecutive nucleotide units

Explanation: B i.e. 3 consecutive nucleotide unit